All are true of OPC poisoning, except:
1. They are anti-cholinesterase agents
2. Bradycardia is seen
3. Atropine reverses muscle weakness
4. Paralysis may occur as complication

Correct answer: 3. Atropine reverses muscle weakness

Explanation: Ans. Atropine reverses muscle weakness